A 32-year-old teacher presents at her physician's office complaining of hearing loss in her right ear. Physical examination reveals cerumen completely obstructing the ear canal. Ear wax removal is recommended using which of the following?
1. Jet irrigation (Water Pik)
2. 3% hydrogen peroxide ear drops
3. Irrigation of the eardrum if perforated
4. Aqueous irrigation if a bean is present

Correct answer: 2. 3% hydrogen peroxide ear drops

Explanation: Jet irrigation (e.g., Water Pik) should be avoided to remove cerumen impaction. Detergent ear drops (such as 3% hydrogen peroxide) may be used. Aqueous irrigation should be avoided if organic material is present because further swelling will be induced.